Stool investigation of a child who presented with anemia revealed worm infestation. Which of the following worm infestation is associated with iron deficiency anemia?
1. Whipworm
2. Hookworm
3. Roundworm
4. Pinworm

Correct answer: 2. Hookworm

Explanation: The common human hookworms are Ancylostoma duodenale and Necator americanus. The larger A duodenale is more pathogenic because it consumes more blood, up to 0.5 mL per worm per day. The adult worms attach with their mouthpas to the mucosa, from which they suck blood. Blood loss is the major sequel of infection which leads to iron-deficiency anemia. Chronic hookworm infection is a common cause of moderate and severe hypochromic microcytic anemia, and heavy infection can cause hypoproteinemia with edema. Chronic hookworm infection in children may lead to growth delay, deficits in cognition, and developmental delay. Ref: Dominguez S.R., Levin M.J. (2012). Chapter 43. Infections: Parasitic & Mycotic. In W.W. Hay, Jr., M.J. Levin, R.R. Deterding, J.J. Ross, J.M. Sondheimer (Eds), CURRENT Diagnosis & Treatment: Pediatrics, 21e.